The study using barium for small intestine is known as -
1. Barium meal follow through
2. Barium swallow
3. Barium enema
4. None of the above

Correct answer: 1. Barium meal follow through

Explanation: Ans. is 'a' i.e., Barium meal follow through o In most cases the jejunum and Ileum are examined following the barium examination of the upper gastrointestinal tract, referred to as the "barium meal and follow through" or simply **barium follow through".